Most effective medication in GERD
1. PPI
2. H, blockers
3. Antacids
4. Prokinetic drugs

Correct answer: 1. PPI

Explanation: (A) PPI > They self-medicate with over the counter medicines such as simple antacids, antacid-alginate preparations and H2recepto' antagonists.> PPis, such as Omeprazole, lansoprazole and pantoprazole, are by far the most effective drug treatment for GERD.